Hemorrhage in vitreous humour is caused by all of the following except:
1. Diabetes mellitus
2. CRVO
3. Glaucoma
4. Trauma

Correct answer: 3. Glaucoma

Explanation: Ans. C: Glaucoma